All of the following forms sulphur granules except
1. Chromoblastomycosis
2. Botryomycosis
3. Mycetoma
4. Actinomycosis

Correct answer: 1. Chromoblastomycosis

Explanation: Chromoblastomycosis - histological they appear as yeast like bodies and septate, called as sclerotic bodies. Botryomycosis - caused by staph aureus, clinically resembling mycetoma. Ref: Textbook of Microbiology, Ananthanarayan and Paniker; 9th edition